The requirement of which nutrient cannot be compensated by dietary intake in pregnancy
1. Iron
2. Protein
3. Carbohydrate
4. Fats

Correct answer: 1. Iron

Explanation: (Iron) (121 -Shaw's 15th)Adequate energy intake and a diversified diet that includes fruit,vegetables, and animal products throughout the life cycle help ensure that women enter pregnancy and lactation without dcficienciesand obtain adequate nutrients during periods of heightened dcmand.Some nutrient requirements, particularly iron, folic acid, and vitaminA, aremore difficult to achieve than others through food sources.For this reason, supplements with these nutrients are recommendedin addition to improved diets. Fortified foods should be promotedthrough counseling and social marketing in countries where foodsfortified with iron, iodine, folic acid, or vitamin A are available andaffordable.IRON* In the absence of Iron supplementation, there is drop in hemoglobin serum iron, and serum ferritin concentration at term pregnancy thus pregnancy is an inevitable iron deficiency state* Daily iron requirement in non menstruating women to compensate the overage daliy loss is 1 mg. Thus in the second help, the daily requirement, actually becomes very much increased to the extent of about 6-7 mg* Total iron requirement during pregnancy is estimated approximately 1000 mg* The fall in the hemoglobin concentration during pregnancy is due to combined effect of hemodilution and negative iron balance* Folic acid supplementation beginning 1 month before conception to about 12 weeks of pregnancy has reduced the incidence of neural tube defects signilicantly A dose of 4 mg daily is recommended* Folic acid deficient most commonly seen in a pregnant mother who is on phenytoin therapy for epilepsy